For spinal anesthesia lignocaine is used as
1. 0.5 % solution
2. 1 % solution
3. 2 % solution
4. 5% solution

Correct answer: 4. 5% solution

Explanation: Lignocaine is used as 5% (heavy) for spinal anesthesia.